Sappey's plexus drains?
1. Breast
2. Thyroid
3. Adrenal
4. Porta hepatis

Correct answer: 1. Breast

Explanation: Ans. A BreastRef: Kulkarni Clinical Anatomy, 2nd ed. pg. 11* The lymphatic plexus below the areola is the Sub-areolar plexus of sappey.* 75% of breast lymphatics drain to axillary lymph nodes.Extra MileQuadrant wise breast lymphatic drainage* Lateral quadrant: Axillary nodes and supraclavicular through the pectoral, interpectoral and deltopectoral.* Medial quadrant: Parasternal nodes.* Lower quadrant: Inferior phrenic (abdominal) nodes.